Which of the following describes the mechanism of action of Flucanozole?
1. Inhibits Lanosterol 14 demethylase
2. Inhibits squalene epoxidase
3. Inhibits synthesis of b-1, 3-glucan
4. Forms pores in fungal cell membrane

Correct answer: 1. Inhibits Lanosterol 14 demethylase

Explanation: Flucanozole (Triazole) inhibit the fungal cytochrome P450 enzyme 'Lanosterol 14-Demethylase' and thus impair ergosterol synthesis leading to a cascade of membrane abnormalities in the fungus. AZOLES: (Imidazoles and Trizoles) Azole antifungals are made up of differennt classes of drugs Imidazoles and Triazoles. The mechanism of action of Imidazoles and Triazoles is the same. Azoles Block fungal P450 enzymes and interferes with ergosterol synthesis. They inhibit the fungal lanosterol 14-demethylase or C-14 a-demethylase (a cytochrome P450 enzyme) which blocks the demethylation of lanosterol to ergosterol, the principal sterol of fungal membranes. The inhibition of ergosterol biosynthesis disrupts membrane structure and function, which, in turn, inhibits fungal cell growth. Azoles are predominantly fungistatic. Imidazoles Triazoles Topical: Clotrimazole Econazole Miconazole Oxiconazole Systemic Ketoconazole Fluconazole Itraconazole Voriconazole Posaconazole Although Imidazoles and Triazoles. Have similar mechanism of action and spectra of activity, their pharmacokinetics and therapeutic uses vary significantly. Ref: Lippincot Review of Pharmacology ; katzung ; KDT 7th edition Pgno: 791, 793